Least likely complication in a pregnant mother with hypothyroidism:
1. Polyhydramnios
2. Recurrent abortions
3. Preterm labor
4. Hypertension

Correct answer: 1. Polyhydramnios

Explanation: Effect of hypothyrodism on pregnancy are - Anemia - Preterm labor / prematurity - Preeclampsia - Recurrent abortion - IUGR- Infertility due to anovulation- Still birth - Intellectual disability - Cardiac dysfunction- Birthweight<2000gm- Placental abruption